The oral and pharyngeal phases of swallowing take place very rapidly and last about
1. 3.5 seconds
2. 1-1.5 seconds
3. 6.0 seconds
4. 9.5 seconds

Correct answer: 2. 1-1.5 seconds

Explanation: Deglutition is an act of swallowing, a process by which food is passed from mouth into stomach. It occurs in 3 stages,

Oral stage - voluntary
Pharyngeal stage - involuntary
Oesophageal stage - involuntary

The whole process of swallowing through oral and pharyngeal stage takes place within 1-2 seconds.